Essex Lopresti lesion in upper limb is due to ?
1. Injury to interosseous membrane
2. Radial head and Distal end of radius fracture
3. Radial shaft
4. Radial shaft and radio-ulnar joint fracture

Correct answer: 1. Injury to interosseous membrane

Explanation: * The Essex-Lopresti fracture is a fracture of the radial head with concomitant dislocation of the distal radio-ulnar joint with disruption of the interosseous membrane. * Mechanism of injury - fall from height ref : maheswari 9th ed